Among the following the drug which is contraindicated in HOCM is:
1. Beta blockers
2. Verapamil
3. Digitalis
4. Amiodarone

Correct answer: 3. Digitalis

Explanation: Digitalis